Multidrug therapy is given for
1. Syphilis
2. Leprosy
3. Herpetiformis
4. Icthyosis Vulgaris

Correct answer: 2. Leprosy

Explanation: B i.e. Leprosy